Primordial prevention in myocardial infarction are all except
1. Changes in life style
2. Maintenance of body weight
3. Healthy nutritional habits
4. Screening for hypertension

Correct answer: 4. Screening for hypertension

Explanation: PRIMORDIAL PREVENTION for CHD (Myocardial infarction) A novel approach to primary prevention of CHD is primordial prevention. It involves preventing the emergence and spread of CHD risk factors and life-styles that have not yet appeared or become endemic. This applies to developing countries in particular. These countries should seek to preserve their traditional eating patterns and life- styles associated with low levels of CHD risk factors. Since the aetiology of CHD is multifactorial the approach to prevention should be multifactorial aimed at controlling or modifying as many risk factors as possible. The aim should be to change the community as a whole, not the individual subjects living in it. Several well-planned risk factor intervention trials (e.g., The Multiple Risk Factor Intervention Trial (MRFIT) in the US , The Stanford Heart Disease Prevention Programme in California, and The North Kerelia Project in Finland have demonstrated that primary prevention can achieve substantial reduction in the incidence of coronary heart disease. Ref: Park's Textbook of Preventive and Social Medicine 25 th Ed Pgno : 386-388